The enzyme not involved in substrate level phosphorylation is:
1. Succinyl thiokinase
2. Phosphofructokinase
3. Pyruvate kinase
4. Phosphoglycerate kinase

Correct answer: 2. Phosphofructokinase

Explanation: (Refer: Harper’s Illustrated Biochemistry, 27th edition, pg no: 172 – 185)
Oxidative phosphorylation

The energy released as a result of biological oxidation is trapped in the form of higher energy phosphate bonds in ATP by phosphorylation of ADP.